Regarding HIV which of the following is not true:
1. It is a DNA retrovirus
2. Contains Reverse Transcriptase
3. May infect host CD 4 cells other than T lymphoctyes
4. Causes a reduction in host CD 4 cells at late stage of disease

Correct answer: 1. It is a DNA retrovirus

Explanation: HIV is RNA retrovirus (not DNA virus)
• It primarily infect CD4+ T cells but can infect other cells also which bear CD4 receptor on their surface.
These include circulating dendritic cells; epidermal langerhan’s cells; monocytes.